Source of ammonia in urine ?
1. Glutaminase
2. Urease
3. Glutamate dehydrogenase
4. Arginase

Correct answer: 1. Glutaminase

Explanation: Ans. is 'a' i.e., Glutaminase In many tissues like liver, kidney and brain, ammonia combines with glutamate to yield glutamine, by the action of glutamine synthase. The brain is a rich source of glutamine synthase and it predominantly detoxifies ammonia by this route. ATP ADP+Pi Glutamate + NH, 4 Glutamine Glutamine synthetaseGlutamine is a nontoxic major transport form of ammonia. The glutamine is transported by blood to liver where deamination (removal of amino group) of glutamine takes place. Glutaminase cleaves glutamine to yield glutamate and free ammonia (ammonium ion). The ammonia is converted by liver to urea. 0 H2Glutamine ________________________ Glutamate + NH, GlutaminaseFormation and secretion ammonia by renal tubular cells maintain acid base balance. Ammonia is formed from glutamine by glutaminase. Excretion of ammonia increases in metabolic acidosis and decreases in metabolic alkalosis.